Which of the following score evaluates chances of amputation in a traumatized limb:
1. Revised trauma score
2. Injury severity score
3. Abbreviated injury score
4. MES score

Correct answer: 4. MES score

Explanation: D i.e. MES score. Mangled Extremity Severity Score (MESS) used to predict necessity of amputation after lower extremity trauma Variables skeletal and soft tissue injury (graded 1-4) limb ischemia (graded 1-3) shock (graded 0-2) age (graded 0-2) Calculation score determined by adding scores of components in four categories Interpretation score of 7 or more is highly predictive of amputation